Pseudomonal infection not cleaned by
1. Dettol
2. Hypochlorite
3. Chlorine
4. Betadine

Correct answer: 1. Dettol

Explanation: Pseudomonas species grow comparatively well in Dettol.

Cetrimide & dettol have been incorporated in the media for the selective isolation of pseudomonas.
Gram negative bacilli.
Motile by polar flagellum.
Non capsulated but many stains have mucoid slime layer especially the organisms which are isolated from cystic fibrosis patient.
Obligate aerobe.
Colonies emit a distinctive, musty, mawkish, earthy or sweet grape-like odor or corn tocolike odor.
Cetrimide agar is a selective media.
Pseudomonas aeruginosa produces a numbers of pigments. The production of these pigments accounts for the colour of colonies.

Various pigments are:

Pyocyanin (most important): - It is produced only by Pseudomonas aeruginosa and gives bluish green color. It inhibits the growth of many other bacteria.
Pyoverdin (fluorescein):- gives greenish yellow color.
Pyorubin:- Produces red color.
Pyomelanin: - Produces black color.


Pseudomonas is an important cause of life threatening bacteremia in immunocompromised patients. Ecthyma gangrenosum is the pathognomic skin lesion of P.aeruginosa bacteremia.
P.aeruginosa is the most common and most serious cause of infection in burns.
MC infection outside hospital is suppurative otitis.
P.aeruginosa causes shanghai fever.
It produces blue pus with characteristic fruity odor.